A 25 year old girl was brought to the emergency after taking overdose of clonazepam after having an argument with her fiance. On taking history revealed that she had many previous relationships which didn't lasted long. And there was history of similar such incidents in the past and she also has cut marks over her wrist. Which of the following is the most likely diagnosis?
1. Narcissistic personality disorder
2. Borderline personality disorder
3. Histrionic personality disorder
4. Anxious personality disorder

Correct answer: 2. Borderline personality disorder

Explanation: Ans. B. Borderline personality disorderIt is characterized by* Unstable interpersonal relationships - alternating between extremes of idealization and devaluation.* Identity disturbance: markedly unstable self-image/sense of self.* Impulsivity - potentially self-damaging (e.g., spending, sex, substance abuse, reckless driving, binge eating)* Recurrent suicidal behavior, gestures, or threats, or self-mutilating behavior.* Affective instability due to a marked reactivity of mood (intense episodic dysphoria, irritability, anxiety)* Chronic feelings of emptiness.* Inappropriate, intense anger or difficulty controlling anger* Transient, stress-related paranoid ideation, severe dissociative symptoms